Which of the following subtypes of cataract is the most common cause of visual morbidity:
1. Senile
2. Congenital
3. Traumatic
4. Drug toxicity

Correct answer: 1. Senile

Explanation: Ans. A: Senile Age-related/senile cataract is responsible for 48% of world blindness, according to the World Health Organization (WHO).